26 year old man died while playing. His autopsy of the heart revealed myocyte hypertrophy. Diagnosis is
1. HOCM
2. DCM
3. Arrhythmogenic cardiac problem
4. Restrictive cardiomyopathy

Correct answer: 1. HOCM

Explanation: Ref:Harrison's 19th ERT pg 1568. Most probably it is HOCM. Patients with hypertrophic cardiomyopathy have an increased risk of sudden cardiac death from ventricular tachyarrhythmias. Vigorous physical activity and competitive sport are prohibited.